A 35 years old mother of two children is suffering from amenorrhea for last 12 months. She has history of failure of lactation following 2nd delivery but remained asymptomatic thereafter. Skull X-ray shows "Empty sella". Most likely diagnosis is:
1. Menopause
2. Pituitary tumor
3. Sheehan's syndrome
4. Intraductal papilloma of breast

Correct answer: 3. Sheehan's syndrome

Explanation: Amenorrhea, failure of lactation and "Empty sella" in skull X-ray give the diagnosis of Sheehan's syndrome. Ref: Current Obs and Gynae Diagnosis and Treatment 8th Edition, Page 446 ;Internal Medicine: An Illustrated Radiological Guide By Jarrah Ali Al-Tubaikh, 2010, Page 247